False statement about fetal development-a) Fetal legs develop before upper limbb) Growth in length is very fast in 3-5th monthc) Thumbs are formed in preaxial borderd) Fetus gains maximum weight in 1st trimestere) Upper limb develops before legs
1. b
2. c
3. ad
4. ab

Correct answer: 3. ad